A patient is having a malignancy and has been suffering from severe pain. Which of the following opioid analgesics can be used as transdermal patch for alleviation of pain in him?
1. Morphine
2. Pentazocine
3. Fentanyl
4. Tramadol

Correct answer: 3. Fentanyl

Explanation: (Ref: KDT 6/e p459) Fentanyl can be used as a transdermal patch for prolonged treatment of cancer associated pain.